Vortex vein invasion is commonly seen in -
1. Retinoblastoma
2. Malignant melanoma
3. Optic nerve gliomas
4. Medullo- epitheliomas

Correct answer: 2. Malignant melanoma

Explanation: *Vortex vein involvement is seen in uveal malignant melanoma. Ref: Ophthalmic pathology : guide for clinicians p.253.